Edema of hands & feet in Infants is characterised –
1. Klinefelter's syndrome
2. Noonam syndrome
3. Turner's syndrome
4. Fragile x syndrome

Correct answer: 3. Turner's syndrome

Explanation: Lymphedema of hand and feet is characteristically seen in Turner syndrome.